Relative risk of developing TB in patients already infected with TB bacilus is highest in -
1. Diabetes
2. Recent infection
3. Post transplantation
4. Malnutrition

Correct answer: 3. Post transplantation

Explanation: Ans. is 4c' i.e., Post transplantation Relative risk of developing T.B.Post transplantation20-70HIV30Silicosis30Recent infection12Diabetes3-4Malnutrition2-3